Anti-helicobacter pylori drugs are all of the following except:-
1. Clarithromycin
2. Amoxicillin
3. Metronidazole
4. Ofloxacin

Correct answer: 4. Ofloxacin

Explanation: Antimicrobials effective against H. pylori are :- Metronidazole/tinidazole Amoxicillin Clarithromycin Tetracycline Colloidal bismuth subcitrate